A 45-year-old woman underwent a modified radical mastectomy 4 years ag0. She was treated for multiple bone metastasis with cyclophosphamide, doxorubicin, and fluororacil for 6 months. She is complaining of exertion on exercise, swelling of the legs, and swelling around eyes in the morning. On examination, she has bilateral rales in the lungs, s1, s2 audible, s3, s5 gallop present. Her BP is 149/117 mm Hg, PR is 80/min, RR is 18/min. what is the most likely cause for her cardiac condition?
1. Systolic dysfunction CHF
2. Drug induced cardiac toxicity
3. Metastatic cardiac disease
4. Pneumonia

Correct answer: 2. Drug induced cardiac toxicity

Explanation: Drug-induced cardiotoxicity is a major adverse effect that has been encountered for some clinically important drugs especially antineoplastic agents. This toxicity has previously led to the post-marketing withdrawal of numerous pharmacologically active drugs and limits the efficacy of other clinically useful ones Ref Davidson 23rd edition pg 1213